Ptosis is due to damage of :
1. Occulomotor nerve
2. Abducens nerve
3. Trochlear nerve
4. Facial nerve

Correct answer: 1. Occulomotor nerve